All of the following drugs are useful in detrusor instability except:
1. Solefenacin
2. Tolterodine
3. Flavoxate
4. Duloxetine

Correct answer: 4. Duloxetine

Explanation: Ans. (D) Duloxetine(Ref: Principles of Pharmacology, 1/e p157, 159; KDT 8th/e p124)Anticholinergic drugs decrease the motility of urinary tract and thus may result in urinary retention (therefore contra-indicated in BHP).Dicyclomine, flavoxate and oxybutynin are useful for the treatment of urinary incontinence due to detrussor instability (urge incontinence)Tolterodine, darifenacin and solefenacin are selective M3 antagonists that are also useful for urinary incontinence.Duloxetine is an SSRI used for the treatment of depression